Fourth ventricle develops from:
1. Telencephalon
2. Mesencephalon
3. Diencephalon
4. Rhombencephalon

Correct answer: 4. Rhombencephalon

Explanation: Lateral ventricle develops from the cavity of telencephalon. Third ventricle develops from diencephalon. Cavity of mesencephalon remains narrow and forms the aqueduct, while the cavity of rhombencephalon forms the fourth ventricle.Ref: Human Embryology By Inderbir singh, 7th edition, Page 306